Basophilic leucocytosis occurs in
1. AML
2. ALL
3. CML
4. CLL

Correct answer: 3. CML

Explanation: (C) (CML) (438 -R) (421-HM) (465-Basic pathology 8th)CML - marked leucocytosis. A rising basophilia is indicative of impending blastic transformation (421 - HM)* The circulating cells are predominantly neutrophils and myelocytes but basophils and eosinophils are also prominent (438 - R)CLL - Moderate leucocytosis, more than 90% of leucocytes are mature small lymphocytesAML - Low to high TLC, predominance of myeloblasts and promyelocytes in blood and bone marrow, thrombocytopenia moderate to severe.ALL - Low to high TLC, predominance of lymphoblasts in blood and bone marrow thrombocytopenia moderate to severe